Features of hemolytic anemia are all except?
1. Hemoglobinemia
2. Bilirubinemia
3. Reticulocytosis
4. Haptoglobin increased

Correct answer: 4. Haptoglobin increased

Explanation: Ans. (d) Haptoglobin increased(Ref: Robbins 9th/pg 631-632)HaptoglobinA glycoprotein that is synthesized in the liver.It consists of two pairs of a chains and two pairs of b chains.With hemolysis, free Hb readily dissociates into dimers of a & b chains; the a chains bind avidly with the b chains of haptoglobin in plasma or serum to form a complex